An ideal imaging method for diagnosing hydro-cephalus in an infant is:
1. Plain X-ray
2. CT scan
3. Ultrasound
4. MRI

Correct answer: 3. Ultrasound

Explanation: Ans. Ultrasound